Which among the following is not true for Hemophilia A
1. APTT - Decreased
2. Factor VIII - Decreased
3. Factor IX - Normal
4. VWF - Normal

Correct answer: 1. APTT - Decreased

Explanation: Hemophilia A

Bleeding time - Normal 
APTT - Increased
Factor VIII - Decreased 
Factor IX - Normal 
VWF - Normal